Keratinizing squamous cell carcinoma of nasopharynx is
1. Type I
2. Type II
3. Type III
4. Type IV

Correct answer: 1. Type I

Explanation: WHO classification based on histopathology Present WHO terminology Former terminology Type I (25% Keratinizing carcinoma Squamous cell carcinoma Type II (12%) Nonkeratinizing differentiated carcinoma * Transitional cell carcinoma * Intermediate cell carcinoma * Lymphoepithelial carcinoma Type III (63%) Nonkeratinizing undifferentiated carcinoma * Anaplastic carcinoma * Clear cell carcinoma * Lymphoepithelial carcinoma (Schminke type is tumour with diffusely distributed malignant tissue) * Spindle cell carcinoma (Ref: Diseases of Ear, Nose and Throat, P.L Dhingra, 7th edition, page 283)